Anticraving drug given in alcohol dependence:
1. Buprenorphine
2. Acamprosate
3. Disulfiram
4. Diazepam

Correct answer: 2. Acamprosate

Explanation: Ans. b. Acamprosate (Ref: Niraj Ahuja 6th/39-40; Kaplan Synopsis 10th/396)Anticraving drug given in alcohol dependence is Acamprosate.Treatment of Alcohol Dependence1. Aversion therapy: ApomorphineQ, sub-threshold electric shock2. Psychotherapy3. Group therapy4. Deterrent agents: ( Alcohol sensitizing drugs)Q- DisulfiramQ- Citraied calcium carbimide (CCC)- MetronidazoleQ, NitrafezoleQ- Methyltetrazolethiol- Sulfonylureas (specially ChlorpropamideQ)- Cephalosporins (cefoperazoneQ, moxalactamQ, cefamandoleQ)5. Anticraving agents: (FAN)- FluoxetineQ- AcamprosateQ- NaltrexoneQ